Which of the following permanent teeth is most difficult to distinguish from mesial and distal aspects:
1. Mandibular central incisor.
2. Mandibular lateral incisor.
3. Maxillary central incisor.
4. Maxillary lateral incisor.

Correct answer: 1. Mandibular central incisor.

Explanation: Mandibular central incisor is bilaterally symmetrical when viewed labially and incisally.